Which of the following groups of contrast agents may be safely injected intrathecally?
1. Water-soluble ionic monomers
2. Water-soluble non-ionic monomers
3. Water-soluble ionic dimers
4. Oil based iodinated contrasts

Correct answer: 2. Water-soluble non-ionic monomers

Explanation: Most of the water soluble iodinated contrast media of the non ionic low osmolar class is safe to use intrathecally